Efferent from Cerebellar cortex arises from which of the following:
1. Pyramidal cells
2. Purkinje cells
3. Stellate cells
4. Granule cells

Correct answer: 2. Purkinje cells

Explanation: Purkinje cells sends information to deep cerebellar nuclei which then sends information to thalamus and cortex dentato thalamic tract.